HLA is located on:-
1. Short arm of chr-6
2. Long arm of chr-6
3. Short arm of chr-3
4. Long arm of chr-3

Correct answer: 1. Short arm of chr-6

Explanation: HLA is the other name given to MHC (Major histocompatibility complex) Location of MHC molecule - short arm of chromosome 6